Cells present in cerebellum are all EXCEPT:
1. Purkinje cells
2. Stellate cells
3. Pyramidal cells
4. Basket cells

Correct answer: 3. Pyramidal cells

Explanation: ANSWER: (C) Pyramidal cellsREF: Gray's anatomy 39th edition page 359, http://en.wikipedia.org/wiki/Cerebellum,Cellular component of cerebellumPurkinje cellsGranule cellsMossy fibersClimbing fibersInterneurons1. Golgi cells2. Lugaro cells3. Stellate cells4. Basket cells